A person has history of steatorrhoea of long duration. D-xylose was ordered. 5 hour urine sample show < 4.5 g excretion after giving 25g D-xylose. What is the probable diagnosis  a) Celiac disease  b) Pancreatitis  c) Blind loop syndrome  d) Heal disease
1. ac
2. ab
3. ad
4. bd

Correct answer: 1. ac